All of the following are complications of regional enteritis (Crohn's disease) except
1. Obstruction
2. Fistula formation
3. Perforation
4. Intussusception

Correct answer: 4. Intussusception

Explanation: (D) Intussusception # COMPLICATIONS INTUSSUSCEPTION:* Endoscopic image of colon cancer identified in the sigmoid colon (anatomy) on screening colonoscopy for Crohn's disease.* Crohn's disease can lead to several mechanical complications within the intestines, including obstruction, fistulae, and abscesses.* Obstruction typically occurs from strictures or adhesions which narrow the lumen, blocking the passage of the intestinal contents.* Fistulae can develop between two loops of bowel, between the bowel and bladder, between the bowel and vagina, and between the bowel and skin.* Abscesses are walled off collections of infection and can occur in the abdomen or in the perianal area in Crohn's disease sufferers.* Crohn's disease also increases the risk of cancer in the area of inflammation.* For example, individuals with Crohn's disease involving the small bowel are at higher risk for small intestinal cancer.* Similarly, people with Crohn's colitis have a relative risk of 5.6 for developing colon cancer.* Screening for colon cancer with colonoscopy is recommended for anyone who has had Crohn's colitis for eight years, or more.* Individuals with Crohn's disease are at risk of malnutrition for many reasons, including decreased food intake and malabsorption.* The risk increases following resection of the small bowel. Such individuals may require oral supplements to increase their caloric intake, or in severe cases, total parenteral nutrition (TPN).* Most people with moderate or severe Crohn's disease are referred to a dietitian for assistance in nutrition.